Glucose transporter in myocyte stimulated by insulin is
1. GLUT 1
2. GLUT 2
3. GLUT 3
4. GLUT 4

Correct answer: 4. GLUT 4

Explanation: GLUT 4 is the insulin-regulated glucose transporter found in adipose tissue and striated muscleinsulin induces rapid increase in the uptake of glucose by inducing the translocation of GLUT 4 from these vesicles to the plasma membraneRef: DM Vasudevan, 7th edition, page no: 108